Main blood supply to the head and neck of femur comes from -
1. Lateral circumflex femoral Artery
2. Medial circumflex femoral Artery
3. Artery of Ligamentum Teres
4. Popliteal Artery

Correct answer: 2. Medial circumflex femoral Artery

Explanation: The medial circumflex femoral artery along with its retinacular and epiphyseal branches supplies most of the blood supply to the head and neck of femur.